A patient who presents to the hospital with severe headaches develops convulsions and dies. At autopsy the brain grossly has a "Swiss cheese" appearance due to the presence of numerous small cysts containing milky fluid. Microscopically, a scolex with hooklets is found within one of these cysts. What is the causative agent for this disease?
1. Taenia saginata
2. Taenia solium
3. Diphyllobothrium latum
4. Echinococcus granulosa

Correct answer: 2. Taenia solium

Explanation: Above mentioned clinical features and autopsy findings chracterstically point towards the NEUROCYSTICERCOSIS. Neurocysticercosis is the most common parasitic disease of the central nervous system. organism- taneia solium/ pork tapeworm DH-humans IMH - pigs or sometimes man can be accidental host mode of infection-cysticercus cellulosae larvae in poorly cooked PORK meat. or by ingestion of eggs in food. T. solium Adult worm :- * has rostellum, suckers as well as Hooks * in Small intestine (Duodenum) * Eggs are bile stained, don't float in Saturated saline solution * Eggs have Hexacanth Embryo * Eggs are active in Pig as well as Humans the eggs hatch into larva, which then penetrate the gut wall and disseminate the bloodstream to lodge in different organs.(muscle, skin ,brain , eye , spinal cord.)- There they encyst and differentiate into cysticerci.- Multiple cysticerci in the brain produce a "Swiss cheese" appearance grossly, and microscopically a scolex (the head of the worm) is found with hooklets. This disease is called cysticercosis. Taenia saginata-a.k.a beef tapeworm causes Taeniasis(diarrhoale episode) Diphyllobothrium latum/ fish tapeworm causes - megabolstic anaemia. Echinococcus granulosa/ Dog tapeworm forms hydatid cyst in liver